Alpha 2 agonist cause all of the following except?
1. Analgesia
2. Hyperalgesia
3. Sedation
4. Anxiolysis

Correct answer: 2. Hyperalgesia

Explanation: Hyperalgesia Alpha 2 agonist causes analgesia, not the hyperalgesia.